Criteria for diagnosis of HELLP syndrome are all , EXCEPT ?
1. Hemolysis
2. SGOT > 72 IU/L
3. Convulsions
4. Platelets < 1 lakh/mm3

Correct answer: 3. Convulsions

Explanation: - HELLP syndrome is a complication of severe pre-eclampsia, happening during Third trimester ,characterized by Hemolysis (characterized by schistiocytes in blood film, Bilirubin = 1.2 mg/dl, absent plasma haptoglobin) Elevated liver enzymes (SGOT > 72 IU/L) low platelet count < 1 lakhs